Artery responsible for bleeding in hemoptysis is?
1. Bronchial artery
2. Pulmonary artery
3. Intersegmental artery
4. Intercostal collaterals

Correct answer: 1. Bronchial artery

Explanation: ANSWER: (A) Bronchial arteryREF: Harrison's 17th ed table 34-1The bronchial arteries, which originate either from the aorta or from intercostal arteries and are therefore part of the high-pressure systemic circulation, are the source of bleeding in bronchitis or bronchiectasis or with endobronchial tumors.